Which is not a feature of chronic mitral regurgitation?
1. Mid-diastolic murmur
2. Wide split S2
3. PanSystolic murmur radiating to axilla
4. Narrow split S1

Correct answer: 4. Narrow split S1

Explanation: Mitral Regurgitation, the extra blood that flows into left atrium has to come back to left ventricle during diastolic phase. This leads to mid diastolic murmur .Choice A is Correct. Due to early A2, wide Split S2 is heard. Choice B is correct The most characteristic auscultatory finding is grade 3/6 pansystolic murmur. Choice C is correct. Narrow split S1 is a feature of mitral Stenosis.